Elective endodontic treatment is contraindicated in
1. Angina patients
2. Recent MI
3. Diabetes
4. Hypertension

Correct answer: 2. Recent MI